All of the following are effects seen when mercury phase exceeds the volume limit EXCEPT?
1. Decrease in strength
2. Decrease in hardness
3. Decrease in flow
4. Increase in creep

Correct answer: 3. Decrease in flow

Explanation: The mercury phase is the weakest phase in the product mass, and when it exceeds a certain volume limit, there will be a drastic drop in the strength and hardness properties of amalgam, in addition to increase in flow and creep of the restoration.
Reference: Marzouk Operative dentistry, pg-106